Most efficient antigen presenting cell in the skin ?
1. Dendritic cell
2. Macrophages
3. Langerhans cell
4. Kupffer cells

Correct answer: 3. Langerhans cell

Explanation: Ans. is 'c' i.e., Langerhan's cell . Dendritic cells are the most potent and effective antigen presenting cells in the body.----Harrison . In skin, these specialized dendritic cells are called Langerhans cells.